Which of the following is true about Enteropatho genic E coli -
1. Causes diarrhea in infants
2. Acts by invasion of Intestinal epithelial cells
3. Adults are mostly affected
4. Affects immunocompromised host

Correct answer: 1. Causes diarrhea in infants

Explanation: Ans. is 'a' i.e., Causes diarrhea in infants "Enteropathogenic E. coli has been associated mainly with diarrhea in infants and children usually occuring as institutional out breaks". Specific diseases caused by different pathotypes . Enteropathogenic E coli (EPEC) Diarrhea in Infants and children . Entero toxigenic E. coli (ETEC) --> Traveller's diarrhea . Entero invasive E. coli (ETEC) Diarrhea to dysentry similar to shigellosis . Enterohemorrhagic E. coli (EHEC) --> Hemolytic uremic syndrome, Hemorrhagic colitis . Enteroaggregative E.coli --> Persistant diarrhea . Extraintestinal pathogenic strains --> UTI, Abdominal & pelvic infections, meningitis, Septicemia.